All are TRUE about post streptococcal glomerulonephritis, EXCEPT:
1. Proliferative glomerulonephritis
2. PSGN can be seen in elderly
3. More common in males
4. PSGN develops 1-3 weeks after skin infection and 2-6 weeks after streptococcal pharyngitis

Correct answer: 4. PSGN develops 1-3 weeks after skin infection and 2-6 weeks after streptococcal pharyngitis

Explanation: Poststreptococcal glomerulonephritis It is an acute endocapillary proliferative glomerulonephritis. Children between the ages of 2 and 14 years, are usually affected. PSGN can be seen in elderly especially in association with debilitating conditions. It is more common in males Skin and throat infections with particular M types of streptococci (nephritogenic strains) predispose glomerular disease. M types 47, 49, 55, 2, 60, and 57 are seen following impetigo and M types 1, 2, 4, 3, 25, 49, and 12 with pharyngitis. PSGN develops 2-6 weeks after skin infection and 1-3 weeks after streptococcal pharyngitis. Ref: Harrison-18, P-2340.